Whip-lash' injury is caused due to:
1. A fall from a height
2. Acute hyperextension of the spine
3. A blow on top to head
4. Acute hyperflexion of the spine

Correct answer: 2. Acute hyperextension of the spine

Explanation: (b) Acute hyperextension of the spine- Whiplash injury is caused by sudden unexpected hyperextension of cervical spine followed immediately by flexion.